Case control study is-
1. Prospective
2. Retrospective
3. Cross sectional
4. None of the above

Correct answer: 2. Retrospective

Explanation: .
case control studies are usually retrospective studies that proceed from an effect to a cause.

ref:park's textbook of preventive and social medicine,22 nd edition ,pg no 131